Kuppuswamy's socio-economic status classification includes all except:
1. Income
2. Occupations
3. Housing
4. Education

Correct answer: 3. Housing

Explanation: Ans: C (Housing) Ref: Textbook of Preventive and Social Medicine, K Park, 21st edition, Feb 2011Explanation:Kuppuswamv - in India prepared a scale based on education, occupation and income which are the three major variables contributing to socio-economic status in urban areas. Similar scales have also been prepared by Pareek and Kulshrestha for use in rural and urban areas.Modified Kuppuswamy scale - in India prepared a scale based on education, occupation of head of the family and monthly income of the family which are the three major variables contributing to socio-economic status in urban areas.Summary of RDA for Indians EnergyKcal/cayProtein g/dayCalciumIronVit AFolic acidAdult Male28753800 for heavy work6040028600100Adult Female22252925 for heavy work5040030600100Pregnancy+300+15100040600400Lactation 0-6months+550+25 (75)1000309501506-12months+400+18 Prasad scale - based on income. Commonly used in rural areas.Pareek's scale - based on education, occupation, caste, level of social participation, land holding, farm power, housing, material possession and family type. It is used in rural areas.